Which is not an ego defence mechanism :
1. Rationalization
2. Repression
3. Identification
4. Obsession

Correct answer: 4. Obsession

Explanation: D i.e Obsession